Perjury is -
1. Willful utterance of falsehood
2. An act committed within court premises
3. Failure to sign summons
4. Failure to appear as a witness

Correct answer: 1. Willful utterance of falsehood

Explanation: It means wilful giving of false evidence by a witness while under oath, or failure to tell what he knows or believes to be true occurs if the persons earlier statement regarding the facts on oath & subsequent statement also must be on oath & both statements are opposed to each other & they cannot be reconciled. It falls under S.191.I.P.C. REF:The synopsis of forensic med (Dr.K.S.Narayan Reddy) pg no -8 (29th edition).